Sterile Pyuria is characteristically seen in -
1. Renal Tuberculosis
2. Chronic Hydronephrosis
3. Wilm's Tumor
4. Neuroblastoma

Correct answer: 1. Renal Tuberculosis

Explanation: Urinary frequency, dysuria ,nocturia, hematuria and flank or abdominal pain are common presentations. The documentation of culture negative pyuria in acidic urine should raise the suspicion of TB. Ref:Harrison 20 th edition pg no 1244